Most common presenting symptom of fibroadenosis is
1. Pain
2. Discharge from nipple
3. Non-tender lump in the breast
4. Mass

Correct answer: 1. Pain

Explanation: .Tamoxifen used in- * Carcinoma breast * Benign diseases of the breast like fibroadenosis * Infertility in males * Desmoid tumour. Differential diagnosis for carcinoma breast * Fibroadenosis * Traumatic fat necrosis * Tuberculosis of breast * Blood good cyst * Filariasis breast * Mastitis etc. usually ibroadenosis presents with pain. ref:SRB's manual of surgery,ed 3,pg no 456